Osteosarcoma characteristically may develop in some cases of
1. Osteopetrosis
2. Osteogenesis irnperfecta
3. Acromegaly
4. Osteitis deformans

Correct answer: 4. Osteitis deformans